Nocturnal Enuresis is occurrence of involuntary voiding at night in a child more than
1. 2 1/2 yrs
2. 3 1/2 yrs
3. 4 yrs
4. 5 yrs

Correct answer: 4. 5 yrs

Explanation: Ans. (d) 5yrs* OP ghai states enuresis as urinary incontinence beyond the age of 4 years for daytime and 6 years for night-time enuresis.* It is said to be present if it occurs twice per week for 3 consecutive months.* Most of children attain complete bladder control by age of 5 years* The prevalence of enuresis is 7% in boys and 3% in girls at age of 5 years and keeps on decreasing for every subsequent year.* Treatment of choice for nocturnal enuresis is alarm devices with desmopressin nasal spray.